Early sepsis is characterized by a/e -
1. Confusion & restlessness
2. Bradycardia
3. Hypotension
4. Sweating

Correct answer: 2. Bradycardia

Explanation: During early sepsis, hyperventilation induces respiratory alkalosis. With respiratory muscle fatigue and the accumulation of lactate, metabolic acidosis (with increased anion gap) typically supervenes. Evaluation of arterial blood gases reveals hypoxemia that is initially correctable with supplemental oxygen but whose later refractoriness to 100% oxygen inhalation indicates right-to-left shunting. The chest radiograph may be normal or may show evidence of underlying pneumonia, volume overload, or the diffuse infiltrates of ARDS. The electrocardiogram may show only sinus tachycardia or nonspecific ST-T-wave abnormalities.When the septic illness lasts for weeks or months, "critical illness" polyneuropathy may prevent weaning from ventilatory support and produce distal motor weakness. Electrophysiologic studies are diagnostic. Guillain-Barre syndrome, metabolic disturbances, and toxin activity must be ruled out. ref:harrison's principles of internal medicine,ed 18,pg no 2645